Recptors for vibration sense-
1. Merkel's disc
2. Ruffini's end organ
3. Paccinian corpuscle
4. Meissner's corpuscle

Correct answer: 3. Paccinian corpuscle

Explanation: Ans. is 'c' i.e., Paccinian corpuscle Tactile (touch) receptors* For touch (superfical touch) :- Meissner's corpuscle (detect texture of surface, i.e. rough or smooth), Merkel's disc (detect two point discrimination).* For pressure (deep touch) :- Ruffini's end organ (slowly adapting).* Vibrations :- Detected by Pacinian corpuscle (rapidly adapting).